Which is NOT a function of muscles?
1. Cause movement
2. Produce heat
3. Absorb nutrients
4. Maintain posture

Correct answer: 3. Absorb nutrients

Explanation: Option C: This is a function of the digestive system. Transport of digested end products from the lumen of the GI tract to the blood or lymph is absorption, and for absorption to happen, the digested foods must first enter the mucosal cells by active or passive transport processes.
Options A, B, and D: These are functions of the muscular system.